A 32-year-old patient has a pulmonary vascular resistance of 4 mm Hg/L per minute and a cardiac output of 5 L/min. What is her driving pressure for moving blood through the pulmonary circula on?
1. 10 mm Hg
2. 15 mm Hg
3. 20 mm Hg
4. 30 mm Hg

Correct answer: 3. 20 mm Hg

Explanation: 20 mm Hg DP = R xQ . = 4 mm Hg/L/min x 5 L/min = 20 mm Hg.